Arthus phenomenon is an example of which hypersensitivity-
1. Type I
2. Type II
3. Type III
4. Type IV

Correct answer: 3. Type III